. In children MC type of polyp is -
1. Juvenile polyp
2. Solitary polyp
3. Familial polyposis
4. Multiple adenomatous polyp

Correct answer: 1. Juvenile polyp